Nasolacrimal duct opens in-
1. Inferior Nasal Meatus
2. Superior nasal meatus
3. Middle nasal meatus
4. Maxillary sinus

Correct answer: 1. Inferior Nasal Meatus

Explanation: Ans. is 'a' i.e., Inferior Nasal Meatus Part of lateral nasal wallOpeningsInferiorNasolacrimal ductMiddleFrontal sinus, Maxillary sinus, Anterior ethmoidal sinusSuperiorPosterior ethmoidal sinusSphenoethmoidal recessSphenoid sinus